Where Pulsatile liver and ascites is found:
1. Critical pulmonary stenosis
2. MR
3. TR
4. MS

Correct answer: 3. TR

Explanation: Ans: C i.e. TR